FSH and LH concentrations at birth
1. Rise abruptly
2. Fall abruptly
3. No change
4. Rise after 3 months of age

Correct answer: 1. Rise abruptly

Explanation: FSH and LH concentrations rise abruptly in response to fall in placental oestrogen levels, and are highest in first 3 months of life.